Which of these disorders in children is associated with omega-shaped epiglottis?
1. Laryngomalacia
2. Epiglottitis
3. Subglottic stenosis
4. Choanal atresia

Correct answer: 1. Laryngomalacia

Explanation: Ans. A. LaryngomalaciaLaryngomalacia is a congenital disorder of the larynx which is characterized by poorly developed laryngeal cartilages. It is the most common congenital disorder of the larynx, and also the most common cause of stride in infants. Laryngoscopy of children with laryngomalacia leads to a omega-shaped epiglottis, which is primarily due to the floppy epiglottis (supraglottis). Requirement for surgical correction is very rare, however may be warranted if stridor persists even after 2 years of age.